Which of the following investigations is most confirmatory for diagnosis of pelvic inflammatory disease?
1. Gram stain and culture
2. USG.
3. Laparoscopy.
4. Culdocentesis.

Correct answer: 3. Laparoscopy.

Explanation: Laparoscopy in PID Considered the most confirmatory Most reliable aid to support the clinical diagnosis but it may not be feasible to do in all cases. Reserved only in those cases in which differential diagnosis includes salpingitis, appendicitis or ectopic pregnancy.